Raj Mohan has recently been on an increased regime of anti-psychotics for Schizophrenia. The following complications are associated with combined use of more than one anti-psychotic, EXCEPT:
1. Neuroleptic Malignant Syndrome
2. Renal Tubular Necrosis
3. Paralytic illeus
4. QTc Prolongation in ECG

Correct answer: 2. Renal Tubular Necrosis

Explanation: Neuroleptic Malignant Syndrome, Paralytic illeus, QTc Prolongation in ECG, Seizures (GTC) and Sudden death from Arrythmias are recognised complications of polydrug therapy in psychosis. Most of the side effects are a result of cumulative side effects of individual drugs. Renal toxicity is not a common side effect of antipsychotics and hence the option can be eliminated. Ref: Maudley prescribing guidelines, 10th Edition